Spontaneous regression is seen in -
1. Portwine haemangioma
2. Strawberry haemangioma
3. Cavernous haemangioma
4. Arterial angioma

Correct answer: 2. Strawberry haemangioma

Explanation: Sponteaneous regression is a feature of two varieties of capillary hemangiomas :

Salmon patch : regresses by 1 year of age
Strawberry angioma: regresses by the age of 7-8 years.